Local anaesthesia causing methemoglobinemia
1. Procaine
2. Prilocaine
3. Etiodicaine
4. Ropivacaine

Correct answer: 2. Prilocaine

Explanation: Prilocaine Prilocaine is an amide local anaesthetic that is metabolized to orthotolidine. Orthotolidine is an oxidizing compound capable of converting hemoglobin to methemoglobin. As methemoglobinemia reduces the amount of hemoglobin that is available for oxygen transport this side effect is potentially life threatening. Therefore dose limits for prilocaine should be strictly observed. Drugs causing methemoglobinemia Anilines Aminophenois Aminoph enon es Chlorates/dapsone Prilocaine/benzocaine Nitrates/nitrites/naphthalene Nitrobenzene Phenazopyridine Primaquine and related antimalarials Sulfonamides